Drug of choice for MRSA is
1. Streptogramin
2. Vancomycin
3. Quinupristin
4. Linezolid

Correct answer: 2. Vancomycin

Explanation: (B) Vancomycin > Drugs used in the treatment of MRSA: Vancomycin, Linezolid, Teicoplanin, Cotrimoxazole, Oxacillin, Rifampicin